The following statements regarding ketamine are true except:
1. It acts on the reticular activating system in the brain stem.
2. It produces dissociative anaesthesia.
3. It is useful agent in patients with hypovolemia.
4. Its use is contraindicated in pregnancy before term.

Correct answer: 1. It acts on the reticular activating system in the brain stem.

Explanation: Ketamine on intramuscular or intravenous administration produces sedation, immobility, amnesia, analgesia and a strong feeling of dissociation from the environment termed as dissociative anaesthesia. It acts on the cerebral cortex and limbic system. It can increase sympathetic activity; myocardial contractility and the cardiac output hence the blood pressure rises by 25% hence useful in hypovolemic patients. It has oxytocic action hence is contraindicated in pregnancy before term.